A 32-year-old marathon runner presents with persistent pain over the dorsum of the foot on weight- bearing. The most probable diagnosis is:
1. Morton's Neuroma
2. Plantar fasciitis
3. March fracture
4. Anterior talofibular ligament sprain

Correct answer: 3. March fracture

Explanation: Ans. C. March fractureA march fracture is the term used to describe a metatarsal stress fracture of the foot caused by excessive repetitive injury.It is therefore more common in athletes. Treatment is rest (an air-cast boot can be provided to reduce weight-bearing over the fracture site). Stress fractures are not always evident on plain radiographs, so the diagnosis may often be based on clinical examination alone for the first 2-3 weeks. MRI scans and bone scans are very helpful.